The following wound is not untidy
1. Incised untidy wound
2. Crushed wound
3. Avulsed wound
4. Lacerated wound

Correct answer: 1. Incised untidy wound